Oocyst of toxoplasma is found in :
1. Cat
2. Dog
3. Mosquito
4. Cow

Correct answer: 1. Cat

Explanation: Ans. is 'a' i.e. Cat Toxoplasma can infect wide variety of animals but the only host under which it undergoes sexual division and produce infectious oocyst which are excreted in the feces is Cat.